All of the following skin changes are associated with Diabetes Mellitus except
1. Acanthosis Nigricans
2. Granuloma annulare
3. Necrobiosis lipiodica
4. Salmon patch

Correct answer: 4. Salmon patch

Explanation: Salmon patch is associated with "Sturge - Weber" syndrome.